Small bones are supplied by
1. Nutrient artery
2. Periosteal vessels
3. Subperiosteal
4. Epiphyseal

Correct answer: 2. Periosteal vessels

Explanation: Periosteal arteries 

These are especially numerous beneath the muscular and ligamentous attachments. 
They ramify beneath the periosteum and enter the Volkmann's canals to supply the outer 1/3 of the cortex. 

In miniature long bones, the infection begins in the middle of the shaft rather than at the metaphysis because, the nutrient artery  breaks up into a plexus immediately upon reaching the medullary  cavity. In the adults, however, the chances of infection are minimized because the nutrient artery is mostly replaced by the periosteal vessels.
KEY CONCEPT:
Short bones are supplied by numerous periosteal vessels which enter their nonarticular surfaces.